A Patient is on regular medications for co-existing medical problems. Which of the following drugs may be stopped safely with minimal risk of adverse effects before an abdominal surgery -
1. Statins
2. Bta Blockers
3. ACE inhibitors/ACE Receptor Blockers
4. Steroids

Correct answer: 3. ACE inhibitors/ACE Receptor Blockers